Which among the following is an early sign of magnesium toxicity?
1. Depression of deep tendon reflexes
2. Respiratory depression
3. Cardia arrest
4. Decreased urine output

Correct answer: 1. Depression of deep tendon reflexes

Explanation: Mg toxicity causes muscle weakness. Ref KD Tripati 8th edition